The articular cartilage is characterized by all of the following features except -
1. It is devoid of perichondrium
2. It has a rich nerve supply
3. It is avascular
4. It lacks the capacity to regenerate

Correct answer: 2. It has a rich nerve supply

Explanation: Articular cartilage is non-nervous (has no nerve supply).